Goose skin or cutis anserina is seen in
1. Drowning
2. Lightening
3. Strangulation
4. Fire arm injury

Correct answer: 1. Drowning

Explanation: Cutis anserina or goose skin: Skin has granular and puckered appearance due to spasm of erection fibers and the muscles attached to hair follicles. It can occur in living in cold weather and in submersion of body in cold water immediately after death, while the muscles are still warm and irritable. Reff: The synopsis of forensic medicine & Toxicology 28th edition pg: 192